Which of the following does not occur in Tetralogy of 
Fallot ?
1. Congestive cardiac failure
2. Polycythemia
3. Brain abscess
4. Infective Endocarditis

Correct answer: 1. Congestive cardiac failure

Explanation: NOT seen in Tetralogy of Fallot 

Congestive cardiac failure 
Cardiomegaly 
Neonatal cyanosis 
Recurrent Respiratory tract infection